The most common cause of acute cor pulmonale is:
1. Pneumonia.
2. Pulmonary thromboembolism.
3. Chronic obstructive pulmonary disease
4. Primary spontaneous pneumothorax

Correct answer: 2. Pulmonary thromboembolism.

Explanation: Answer is B (Pulmonary thromboembolism): Most common causes of acute cor pulmonale is Pulmonary thromboembolism Most common cause of chronic cor pulmonale is Severe COPD